Which of the following statements is true about conjoint tendon ?
1. Formed by internal oblique and transversus abdominis
2. Forms the posterior wall of inguinal canal
3. It is pushed anteriorly by direct inguinal hernia
4. All of the above

Correct answer: 4. All of the above

Explanation: Aponeurotic fibers of internal oblique and transversus abdominis fuse to form conjoint tendon. It forms the medial 2/3 of posterior wall of inguinal canal. Thus direct hernia coming through medial side pushes it.